The paraneoplastic hypercalcemia in lymphoma is due to ectopic production of which of the following?
1. Parathyroid hormone-related protein
2. 1,25 dihydroxyvitamin D
3. Parathyroid hormone
4. Prostaglandin E2

Correct answer: 2. 1,25 dihydroxyvitamin D

Explanation: This is an important topic as it is frequently asked in entrance exams. Please go through it in detail: Paraneoplastic manifestation Ectopic Hormone Typical Tumor Types Hypercalcemia Parathyroid hormone-related protein Squamous cell carcinoma (head and neck, lung, skin), breast, genitourinary, gastrointestinal tumors Hypercalcemia 1,25 dihydroxyvitamin D Lymphomas Hypercalcemia Parathyroid hormone Lung, ovary Hypercalcemia Prostaglandin E2 Renal, lung Ref: Harrisons Principles of Internal Medicine, 18th Edition: Table 100-1 Paraneoplastic Syndromes Caused by Ectopic Hormone Production.